Following ventilation mode is not used for weaning?
1. Pressure support ventilation (PSV)
2. Synchronized Intermittent Mandatory Ventilation (SIMV)
3. Controlled Mechanical Ventilation (CMV)
4. Assist Control Ventilation (ACV)

Correct answer: 3. Controlled Mechanical Ventilation (CMV)

Explanation: Ans. is 'c' i.e., Controlled Mechanical Ventilation (CMV)